Fatty acids used by all except ?
1. Liver
2. Muscle
3. Brain
4. Kidney

Correct answer: 3. Brain

Explanation: Ans. is `c' i.e., BrainThere is no stored fuel in brain, but it utilized 60% of total energy under resting conditions.Glucose is virtually the sole fuel for the brain, except in prolonged starving when ketone bodies are the major source.Fatty acids do not serve as fuel for the brain, because they are bound to albumin in plasma; hence cannot cross blood-brain barrier.